In apoptosis, cytochrome C acts through:
1. Apaf 1
2. Bcl-2
3. FADD
4. TNF

Correct answer: 1. Apaf 1

Explanation: Ans. (a) Apaf 1(Ref Robbins 9th/pg 54-55; 8th/pg 29)Leakage of cytochrome c, other proteins form the inner mitochondrial membrane to cytosol|Cytochrome C binds to APAF-1Q|Activation of caspase-9-critical initiator caspase of the mitochondrial pathway